Kuru plaques are seen in which of the following neurodegenerative disorders?
1. Alzheimer disease
2. Creutzfeldt-Jakob Disease (CJD)
3. Parkinson disease (PD)
4. Multiple system atrophy (MSA)

Correct answer: 2. Creutzfeldt-Jakob Disease (CJD)

Explanation: CNS Inclusions seen in neurodegenerative disorders Disease Inclusions Prion diseases (Creutzfeldt-Jakob Disease (CJD)) Kuru plaques and diffuse PrP (Prion related protein) deposits Alzheimer disease Ab (plaques) and tau (tangles) Parkinson disease a-synuclein; tau Multiple system atrophy (MSA) a-synuclein Huntington disease Huntingtin Spinal bulbar muscular atrophy (SBMA) Androgen receptor Progressive supranuclear palsy (PSP), Corticobasal degeneration (CBD) tau